False about p53 is-
1. It is present on chromosomes 17
2. It causes cell cylce arrest in G1
3. 53 KDa
4. Non mutated wild p53 is associated with neoplasm in childhood

Correct answer: 4. Non mutated wild p53 is associated with neoplasm in childhood

Explanation: p53 is the protein produced by TP53, guardian of human genome. It stimulates cells for DNA repair and in anti onco genic.Basic Pathology, Robbins. Page no.:185